Which of the following is known as Preiz Nocard bacillus -
1. Corynebacterium diphtheriae
2. Corynebacterium pseudotuberculosis
3. Influenza bacillus
4. Salmonella

Correct answer: 2. Corynebacterium pseudotuberculosis

Explanation: Ans. is 'b' i.e., Corynebacterium pseudotuberculosis Nocard bacillus (C. Pseudotuberculosis), causes suppurative lymphadenitis in horses and pseudotuberculosis in sheep.